Only mydriatic action is by-
1. Tropicamide
2. Homatropine
3. Phenylephrine
4. Cyclopentolate

Correct answer: 3. Phenylephrine

Explanation: Ans. is 'c' i.e., Phenylepherine Phenylepherine is used as a mydriatic when cycloplegia is not required. It reduces the i.o.t. by constricting ciliary body blood vessels. It is also used as a nasal decongesent. About other options o Tropicamide, homatropine and cyclopentolate are mydriatic as well as cycloplegic.